Which of the following is the reservoir for measles?
1. Soil
2. Man
3. Fomites
4. Monkey

Correct answer: 2. Man